In pauci immune glomerulonephritis, immunofluorescence of renal biopsy specimens do not reveal any evidence of immunoglobulin or complement deposition. Pauci immune necrotizing glomerulonephritis is seen in:
1. After transplant in alports
2. Microscopic polyangiitis
3. Henoch-Schonlein nephritis
4. Lupus

Correct answer: 2. Microscopic polyangiitis

Explanation: Pauci-immune necrotizing glomerulonephritis is caused by the following systemic ANCA-associated small-vessel vasculitides: granulomatosis with polyangiitis, microscopic polyangiitis, and Churg-Strauss disease. ANCA-associated glomerulonephritis can also present as a primary renal lesion without systemic involvement; this is termed "idiopathic crescentic glomerulonephritis." Ref: Watnick S., Dirkx T. (2013). Chapter 22. Kidney Disease. In M.A. Papadakis, S.J. McPhee, M.W. Rabow (Eds), CURRENT Medical Diagnosis & Treatment 2013.